All are symptoms of morphine withdrawal except?
1. Mydriasis
2. Yawning
3. Lacrimation
4. Fall in BP

Correct answer: 4. Fall in BP

Explanation: Ans. is 'd' i.e., Fall in BP Morphine withdrawal Manifestations of morphine withdrawl Lacrimation Anxiety & fear Mydriasis Diarrhea Palpitation Sweating Restlessness Insomnia Dehydration Rapid weight loss Yawning Gooseflash (Piloerection) Abdominal colic Rise in BP Delirium and convulsions are not a characteristic features (contrast barbiturates) and are seen only occasionally. Treatment consists of withdrawl of morphine and substitution with oral methadone followed by gradual withdrawl of methodone. Recently the NMDA antagonists and nitric oxide synthatase inhibitors have been